If mean, median and mode are 10, 18, 26 respectively, the distribution is :
1. Symmetric
2. Normal
3. Positively skewed
4. Negatively skewed

Correct answer: 4. Negatively skewed

Explanation: Negatively skewed For a symmetric curve such as gaussian - mean, median and mode coincide. That is, they are the same value. - A skewed distribution will have different mean, median and mode. In fact, very different values of mean, median and mode is a clear indication of skewness. In positive skew, mean>median>mode. In negative skew, mean<median<mode.